Resuscitation time of the human retina following ischaemia is:
1. 30 minutes
2. 45 minutes
3. 1 to 2 hours
4. 15 to 20 minutes

Correct answer: 3. 1 to 2 hours

Explanation: Ans. 1 to 2 hours